A 4-year-old boy whose diet consists mostly of cheese puffs and cola begins to have problems walking at night, complaining that he cannot see well. In addition, his skin has become dry and scaly, and he has complained of headache for a month. choose the one most appropriate vitamin or trace element replacement therapy to treat the described condition.
1. Vitamin A
2. Niacin (Vitamin B3)
3. Pyridoxine (Vitamin B6)
4. Folate (Vitamin B9)

Correct answer: 1. Vitamin A

Explanation: Vitamin A deficiency manifests first in visual changes, including night blindness. Deficiency can also cause drying of the conjunctivas and sclera. Skin is frequently dry. Poor growth and impaired cognition are also seen.